Rate limiting step in porphyrine synthesis -
1. ALA dehydratase
2. ALA synthase
3. UPG decarboxylase
4. Ferrochelatase

Correct answer: 2. ALA synthase

Explanation: Ans. is 'b' i.e., ALA synthase o See above explanation. Heme is the most important porphyrin (porphyrin III) in the body.